Bleeding disorders with it APTT andt PT:
1. Factor 13 deficiency
2. Severe liver disease
3. Immune thrombocytopenic purpura
4. Leiden (Factor V) deficiency

Correct answer: 2. Severe liver disease

Explanation: Answer is option 2, severe liver disease Liver disease is associated with impairment of the haemostatic function due to the abnormal and decreased synthesis of the clotting factors. It is thus only logical to have considered assessment of the clotting profile (to include prothrombin time (PT) and activated partial thromboplastin time (aPTT)) to be an integral part of the comprehensive assessment of a patient who presents with liver impairment. Laboratory abnormalities of coagulation are considered to be a predictive risk factor for bleeding, but patients with liver disease do not have bleeding pattern as those who have coagulation factor deficiencies. Ref Robbins 9/e pg 450